False about Staphylococcus aureus is:
1. Coagulase positive
2. Catalase positive
3. Oxidase positive
4. DNAse positive

Correct answer: 3. Oxidase positive